The epiglottis is derived from-
1. 3rd arch
2. 4th arch
3. 5th arch
4. 6th arch

Correct answer: 2. 4th arch